Vasculitis involving the Aortic arch is
1. Takayasu arteritis
2. Polyarteritis nodosa
3. Kawasaki disease
4. Churg-Strauss syndrome

Correct answer: 1. Takayasu arteritis

Explanation: Takayasu arteritis classically involves the aortic arch. This is a granulomatous vasculitis of medium and larger arteries characterized principally by ocular disturbances and marked weakening of the pulses in the upper extremities (hence the name pulseless disease). Takayasu arteritismanifests with transmural fibrous thickening of the aorta-- particularly the aortic arch and great vessels--with severe luminal narrowing of the major branch vessels.Ref: Robbins and Cotran Pathologic Basis of Disease; 9th edition; Chapter 11; Blood vessels; Page no: 508